Bacterial transduction occurs by:
1. Plasmids
2. Sex pili
3. Bacteriophage
4. Uptake of genetic material by other bacteria.

Correct answer: 3. Bacteriophage

Explanation: Transduction - Transduction is defined as transmission of a portion of DNA from one bacterium to another by a bacteriophage.